Lithium levels → normal therapeutic -
1. 0.5 to 0.7 mEq/lit
2. 0.7 to 1.1 mEq/lit
3. 0.1 to 0.3 mEq/lit
4. 1.5 to 2mEq/lit

Correct answer: 2. 0.7 to 1.1 mEq/lit

Explanation: Blood lithium levels -


Therapeutic level - 0.8-1.2 mEq/L

(For t/t of acute mania)

Prophylactic level - 0.5-0.8 mEq/L

(For relapse prevention in bipolar disorder)

Toxic lithium levels > 2.0 mEq/L